Cryptomenorrhoea is most commonly seen with:
1. Imperforate hymen
2. Asherman syndrome
3. PCOD
4. Vaginal agenesis

Correct answer: 1. Imperforate hymen

Explanation: Ans: a (Imperforate hymen) Ref: Shaw, 13th ed,p.280In women with cryptomenorrhoea presenting as primary amenorrhoea the commonest cause is a intact hymen.Imperforate hymenClinical features1deg amenorrhoeaUrinary retentionPeriodic lower abdominal painSign: Visualization of tense bluish bulging membrane on separation of labia.Newborn - Mucocolpos (with in one week of birth)Diagnosis: USG pelvisTreatment of imperforate hymen: Cruciate incision on hymen(Commonest site at which hymen ruptures during intercourse - postero lateral area)